Trisomy of which chromosome is associated with uterine fibroids?
1. Trisomy 10
2. Trisomy 11
3. Trisomy 12
4. Trisomy 14

Correct answer: 3. Trisomy 12

Explanation: Fibroids are monoclonal and about 40% have chromosomal abnormalities that include translocations between chromosomes 12 and 14, deletions of chromosome 7, and trisomy of chromosome 12.Cellular, atypical, and large fibroids are most likely to show chromosomal abnormalities.Ref: Berek and Novak's Gynecology; 15th edition; Chapter 15